Erb's Point is at the Junction of:
1. C5 C6
2. C6C7
3. C7C8
4. C8T1

Correct answer: 1. C5 C6

Explanation: Ans. A. C5 C6 The brachial plexus is a network (plexus) of nerves (formed by the ventral ramus of the lower four cervical nerves and first thoracic nerve (C5 ,C6 ,C7 ,C8 , and T1 ). This plexus extends from the spinal cord, through the canaline the neck, over the first rib, and into the armpit. The brachial plexus is divided into five roots, three trunks, six divisions (three anterior and three posterior), three cords, and branches.Erb's point is formed by the union of the C5 and C6 nerve roots, which later converge to form upper trunk. At the nerve trunk, branches of suprascapular nerves and the nerve to the subclavius also take origin. The merged nerve trunk also divides into the anterior and posterior division of upper trunk.